A 30-year-old man with history of multiple exposures presents with painful non indurated ulcer on the glans penis since 5 days. The undermined sloughed edges of margins were noted. The most probable diagnosis is?
1. Treponema pallidum
2. Haemophilus ducreyi
3. Herpes
4. Chlamydia

Correct answer: 2. Haemophilus ducreyi

Explanation: Multiple, painful, punched-out ulcers with undermined borders is typical of chancroid. Haemophilus ducreyi is the causative agent of chancroid. It is a highly contagious but curable disease. Painless,indurated ulcer is seen in primary chancre caused by T. pallidum